Teeth affected by radiation hazard show:
1. Occlusal caries
2. Proximal caries
3. Chronic caries
4. Rampant caries

Correct answer: 4. Rampant caries